A patient presents with 12 hours following a myocardial infraction . Test of choice
1. Lactate dehydrogenase
2. Cardiac troponins
3. Creatinine phosphokinase
4. Myoglobin

Correct answer: 2. Cardiac troponins

Explanation: Ref Harrison 19 th ed pg 1594 In addition to the clinical examination, three major noninvasive tools are used in the evaluation of NSTEMI-ACS: the electrocardiogram (ECG), cardiac biomarkers, and stress testing. CCTA is an additional emerging option (Fig. 294-2). The goals are to: (1) recognize or exclude myocardial infarction (MI) using cardiac biomarkers, preferably cTn;